Sagittal split osteotomy is a procedure done in the
mandibular:
1. Ramus
2. Body
3. Symphysis
4. Angle

Correct answer: 1. Ramus